A 5 year old male patient complains of multiple decayed teeth and gives a history of frequent snacking and consumption of sugar containing beverages and low socio-economic status. Intraoral examination shows multiple interproximal carious lesions. Which may be recommended by the dentist to this child?
1. Aspartame
2. Xylitol
3. Complex carbohydrates
4. Saccharin

Correct answer: 2. Xylitol

Explanation: Xylitol is a sweetener that inhibits the growth of MS. Numerous studies seem to confirm its anticariogenic capability. Clinically effective levels of xylitol show MS strains with reduced adhesion to the teeth and other reduced virulence properties, such as less acid production. Xylitol has been tested as an additive to a variety of foods and to dentifrices. However, the vast majority of published data come from studies in which xylitol was incorporated into chewing  gum. Clinicians may consider recommending xylitol use to moderate- or high-caries-risk  patients.  Those  recommending  xylitol should be familiar with the product labeling and recommend  age-appropriate  products.  They  should  routinely reassess a child for changes in caries-risk status and adjust recommendations accordingly.
NOTE- MS- Mutans Streptococci.